Anterior Drawer Test is used to diagnose tear of
1. Anterior Cruciate Ligament
2. Posterior Cruciate Ligament
3. Lateral meniscus
4. Medial meniscus

Correct answer: 1. Anterior Cruciate Ligament

Explanation: Ans. a (Anterior Cruciate Ligament) (Ref Maheshwari orthopedics 4th/128)The cruciates provide the primary stability of the knee joint. Disruption of the anterior cruciate will allow excess anterior movement of the tibia relative to the femur and posterior movement is a sign of posterior cruciate damage. For the anterior drawer test, with the subject's knee flexed to 90deg, the hamstrings relaxed and the foot stabilized, the examiner firmly grasps the leg below the knee and pulls it so as to move the tibia forward; for the posterior drawer test, with the knee flexed to 80deg and the foot stabilized, the examiner attempts to move the tibia backwards. Excessive movement, compared to the other knee, indicates rupture of the ligament.Clinical evaluation of Knee ligament injuries.LigamentMechanism of injuryPainSwellingtendernessTests1 Medial collateralValgus forceMedial sideMedial sideMedially on femoral condyleValgus stress + at 30deg knee flexion.2 Lateral collateralVarus forceLateral sideLateral sideLaterally on fibular headVarus stress + at 30deg knee flexion.3 ACLHyperextensionDiffuseHemarthrosisVagueAnterior drawer test+; Lachman test +.4 PCLBackward force on tibiaDiffuseHemarthrosisVaguePosterior drawer test+.